All are true about scleroderma crisis except?
1. Accelerated hypertension
2. Onion skinning of renal vessels
3. Anti - centromere antibody is a positive predictor of disease
4. ACE inhibitors reduced mortality rate

Correct answer: 3. Anti - centromere antibody is a positive predictor of disease

Explanation: Scleroderma crisis occurs in 12% of cases with systemic sclerosis. It is characterised by accelerated hypertension and a rapid decline in kidney function. Histopathological examination shows arcuate artery intimal narrowing and medial proliferation. This is characteristically called onion skinning. Anti-U3-RNP may identify the young patients at risk for scleroderma crisis. Anti-centromere is a negative predictor for scleroderma crisis. Maximum mortality in scleroderma occurs due to Pulmonary artery hypertension and pulmonary fibrosis. NOTE : =In Scleroderma renal crisis - Prompt treatment with an ACE inhibitorcan reverse acute renal failure. =ACE inhibitors should be used even if the patient requires dialysis support. =MC cause of death in Systemic Sclerosis : Pulmonary Arterial Hypertension